Cytokine causing fever -
1. IL-6
2. IFN-y
3. IL-18
4. EL-4

Correct answer: 1. IL-6

Explanation: Ans. is 'a' i.e., IL-6 Pyrogeneso Pyrogenes are substances that cause fever,o Pyrogens may be exogenous or endogenousExogenous - Bacterial toxinsEndogenous - IL-1, TNF-a, IL-6, Interferons, Ciliory's neurotropic factoro These pyrogenes increase the level of PGE2 in the hypothalamus that elevates the thermoregulatory set point and causes fever.